Best reproductive out come among mullerian duct anomalies is
1. Bicornuate uterus > Arcuate uterus > Didelphic uterus
2. Didelphic uterus > Bicornuate uterus > Arcuate uterus
3. Arcuate uterus > Didelphic uterus > Bicornuate uterus
4. Unicornuate uterus > Arcuate uterus > Didelphic uterus

Correct answer: 3. Arcuate uterus > Didelphic uterus > Bicornuate uterus

Explanation: Best reproductive out come is seen is arcuate uterus > Didelphic uterus > Bicornuate uterus.